In the cell membrane, the following is true -
1. Lipids are regularly arranged
2. Lipids are symmetrical
3. Protein displaced laterally
4. None

Correct answer: 3. Protein displaced laterally

Explanation: There is lateral diffusion of protein and lipids in membrane.